Lactose intolerance is due to -
1. Deficiency of Galactokinase
2. Deficiency of Uridyl transferase
3. Deficiency of Lactase
4. Deficiency of Enteropeptidase

Correct answer: 3. Deficiency of Lactase

Explanation: Ans. is 'c' i.e.. Deficiency of Lactase Lactose intoleranceo It occurs due to deficiency of lactase, the most important member of b-galactosidase enzymatic class.o Lactase hydrolyses lactose into glucose and galactose in the small intestine.o Lactose is present in milk.o Therefore, deficiency oflactase, (b-galaetosidase) results in intolerance to milk and other dairy products.o Clinical features are bloating, diarrhea, failure to thrive, abdominal distension and abdominal cramp.